Neurofibrillary tangles and agarophilic plaque are character-istic feature of
1. Alzheimers d/s
2. CJD
3. Hepatic encephalopathy
4. Parkinsonism

Correct answer: 1. Alzheimers d/s

Explanation: Ans a: Ref: Harrison 17th ed pg 2541The area affected in Alzheimer's d/s are hippocampus temporal cortex and nucleus basalis of mayemet Microscopic finding are neurofibrillary tangles and senile neuritic plaques Neuritic plaque contain a central core that contain A? amyloid) proteoglycans, apoE4, alpha 1 antichymotrypsin &other proteinsAccumulation of A-beta amyloid on cerebral arterioles is amyloid angi-opathy.NFT- are silver staining, twisted neurofilaments in neuronal cytoplasm which represent abnormally phosphorylated tau protein